Mortality rate is higher among which of the following:
1. Small intestinal obstruction
2. Colonic obstruction
3. Adynamic ileus
4. Intestinal pseudo obstruction

Correct answer: 2. Colonic obstruction

Explanation: The mortality rate for obstruction of the small intestine is 10%. The mortality rate for colonic obstruction is 20%. Adynamic ileus the prognosis is usually good. Ref: Harrison, ERT-18, P-2515.